Disticntion between a poorly differentiated carcinoma and a lymphoma can be made by immunoperoxidase staining of the tumour tissue with antibodies directed against -
1. Desmin
2. Myoglobin
3. Vimentin
4. Cytokeratin

Correct answer: 4. Cytokeratin